The theory of impression making that presumes that interfacial surface tension is the only factor responsible for retention.
1. Mucostatic technique
2. Mucocompressive technique
3. Selective pressure technique
4. All of the above

Correct answer: 1. Mucostatic technique

Explanation: Non pressure or mucostatic theory was given by Page, who wrote that, interfacial surface tension was the best way to retain dentures.